The minimum age at which an individual is responsible for his criminal act is:
1. 7 years
2. 12 years
3. 16 years
4. 21 years

Correct answer: 1. 7 years

Explanation: Ans. 7 years